The functions of many enzymes, membrane transporters, and other proteins can be quickly activated or deactivated by phosphorylation of specific amino acid residues catalyzed by enzymes called:
1. Cyclases
2. Kinases
3. Phosphatases
4. Proteases

Correct answer: 2. Kinases

Explanation: Ans. B. Kinasesa. A variety of highly regulated protein kinases can cause activation or deactivation of certain key regulatory proteins by covalent modification of specific serine, threonine, or tyrosine hydroxyl residues by phosphorylation.b. For example, skeletal muscle glycogen phosphorylase b is activated by phosphorylation of a single serine residue (serine 14) in each subunit of the dimers composing the enzyme.c. The phosphorylation reaction itself is catalyzed by phosphorylase kinase. Protein phosphatases can quickly reverse such effects.d. Activated muscle glycogen phosphorylase a is deactivated by a specific phosphatase that hydrolyzes the phosphoryl group off of serine 14. Whether the phosphorylated or dephosphorylated form of a protein predominates depends on the relative activities of the kinase versus the phosphatase.